Which of the following does not establish the diagnosis of congenital CMV infection in a neonate?
1. Urine culture of CMV
2. IgG CMV antibodies in blood
3. Intra-nuclear inclusion bodies in hepatocytes
4. CMV viral DNA in blood by polymerase chain reaction

Correct answer: 2. IgG CMV antibodies in blood

Explanation: The growth in culture can be detected early by using shell l culture and by staining the cell with fluorescently tagged antibody to early antigens of CMV REF:ANANTHANARYANAN TEXTBOOK OF MICROBIOLOGY 9EDITION PGNO.474